Locking compression plating is indicated in
1. Periarticular fractures
2. Intertrochanteric fracture
3. Fracture shaft of femur
4. Fracture shaft of humerus

Correct answer: 1. Periarticular fractures